Break bone fever is cuased by -
1. Variola
2. Coxsackie
3. Arbovirus
4. Adenovirus

Correct answer: 3. Arbovirus

Explanation: Break bone fever is caused by the dengue virus. REF:
ANATHANARAYANAN MICROBIOLOGY NINTH EDITION PAGE.523